True about clavulanic acid is ?
1. beta-lactamase inhibitors
2. Extended spectrum penicillin
3. Gram negative bacteria
4. Plasmid inhibitors

Correct answer: 1. beta-lactamase inhibitors

Explanation: Ans. is 'a' i.e., beta-lactamase inhibitors Clavulanic acid is a beta-lactamase inhibitor. Addition of clavulanic acid re-estabilishes the activity of amoxicillin against beta-lactamase producing organisms.